Polycythemia is typically associated with the following haematocrit values
1. 60% in Men; > 55% in Women
2. 60% in Women; > 55% in Men
3. 55% in Men; > 50% in Women
4. 50% in Women; > 55% in Men

Correct answer: 1. 60% in Men; > 55% in Women

Explanation: Answer is A (60% in Men; > 55% in Women) A haematocrit level greater than 60% in men or greater than 55% in women is associated with an elevated RBC mass (Polycythemia) in virtually every case. 'Hematocrit levels >50% in men or >45% in women may be abnormal. Hematocrit >60% in men and >55% in women are almost invariably associated with an increased red cell mass or Polycythemia' 'A Hematocrit level greater than 60% in men or greater than 55% in women is associated with an elevated RBC mass (Polycythemia) in virtually every case' Note : Hematocrit levels are not included in standard diagnostic criteria for diagnosis of Polycythemia Vera